Margin of normal tissue margin taken in excision of melanoma
1. 2cm
2. 3cm
3. 4cm
4. 5cm

Correct answer: 1. 2cm

Explanation: For in situ melanoma a wide excision of 5 mm is sufficient; for melanoma <1 mm deep, a 1 cm margin is sufficient; and for deeper lesions, a 2 cm only margin is recommended, as there is no evidence that wider margins make a difference.Ref: Bailey and Love, 27e, page: 611